What is the GFR (mL/min per 1.73m2) of a patient who is in stage IV of chronic kidney disease?
1. 60 - 89
2. 30 - 59
3. 15 - 29
4. < 15

Correct answer: 3. 15 - 29